Spider-leg appearance is seen in:
1. Pyelonephritis
2. Polycystic kidney
3. Renal artery stenosis
4. Ureteric stones

Correct answer: 2. Polycystic kidney

Explanation: Ans. B: Polycystic kidney